A patient is called obese if BMI is
1. 20-30
2. > 30
3. > 25
4. > 40

Correct answer: 2. > 30